Cleavage plane sign is seen in?
1. Parosteal osteosarcoma
2. Ewing's sarcoma
3. Chondrosarcoma
4. Metastasis

Correct answer: 1. Parosteal osteosarcoma

Explanation: Ans AParaosteal sarcoma arises exophytically from long bones and thus there is a small plane of cleavage between it and the main shaft of bone - the Cleavage plane sign.